Which is the least malignant pancreatic endocrine tumor ?
1. Zollinger-Ellison syndrome
2. Insulinoma
3. VIPoma
4. Glucagonoma

Correct answer: 2. Insulinoma

Explanation: Insulinoma patients generally presents with hypoglycemia symptoms. Mainly located in the pancreas, and malignancy is <10%. Reference: Table 350-2, Harrisons Principles of Internal Medicine, 18th Edition, Page 3057